All are true regarding Polymorphous light eruption (PMLE), EXCEPT
1. Rash caused by sun exposure
2. Rash triggered by exposure to artificial ultraviclet (UV) light
3. Healing without scarring.
4. Face is always affected Venereology * NIMHANS March-2017 Post-MBBS, NIMHANS Pattern Re-exam March 2015

Correct answer: 4. Face is always affected Venereology * NIMHANS March-2017 Post-MBBS, NIMHANS Pattern Re-exam March 2015

Explanation: (D) Face is always affected# POLYMORPHOUS light eruption or polymorphic light eruption, is a rash caused by sun exposure in people who have developed sensitivity to sunlight.> Rash usually appears as red, tiny bumps or slightly raised patches of skin> Polymorphic light eruption is a fairly common skin rash triggered by exposure to sunlight or artificial ultraviolet (UV) light> An itchy or burning rash appears within hours, or up to two to three days after exposure to sunlight.> It lasts for up to two weeks, healing without scarring.> The rash usually appears on the parts of the skin exposed to sunlight - typically the head and neck, chest and arms (the face isn't always affected).> Generally, PLE resolves without treatment; also, PLE irritations generally leave no scar.> However, in severe cases the use of steroids is necessary to help reduce inflammation and increase quality of life of the patient.> There are also other therapies for patients who are severely impacted, such as light therapy to harden the skin's surface.